Hemorrhage leads to:
1. Septicemic shock
2. Neurogenic shock
3. Hypovolemic shock
4. Cardiogenic shock

Correct answer: 3. Hypovolemic shock

Explanation: Ans. C: Hypovolemic shock Hypovolemic shock refers to a medical or surgical condition in which rapid fluid loss results in multiple organ failure due to inadequate circulating volume and subsequent inadequate perfusion. Most often, hypovolemic shock is secondary to rapid blood loss. Acute external blood loss secondary to penetrating trauma and severe GI bleeding disorders are 2 common causes of hemorrhagic shock. Hypovolemic shock can result from significant fluid (other than blood) loss. Two examples of hypovolemic shock secondary to fluid loss include refractory gastroenteritis and extensive burns.